True about inguinal canal:
1. It is an Intermuscular canal
2. Superficial inguinal ring is situated superior and lateral to pubic tubercles
3. In male vas deference passes through it.
4. All

Correct answer: 4. All

Explanation: A. i.e. It is an intermuscular canal; B. i.e. Superficial inguinal ring is situated superior & lateral to pubic tubercles; D. i.e. In males vas deferens passes through it